Basanti, a 30yearold girl, presents with complaints of fever and weakness. On examination there is splenomegaly of 3 cm below the costal margin. Hb is 8 gm/ dL. TLC is 3, 000/ mm3, platelet count is 80, 000 mm3. Which of the following is the LEAST likely diagnosis:
1. Aplastic anemia
2. Anemia of chronic diseases
3. Megaloblastic anemia
4. Acute lymphocytic anemia

Correct answer: 1. Aplastic anemia

Explanation: Ans. A i.e. Aplastic anemia Aplastic anemia Causes: -- Drugs (chloramphenicol), -- Viruses etc. Feature absent in aplastic anemia: Splenomegaly Most effective treatment of aplastic anemia: Bone marrow transplant